Volume of distribution of drug is given by:
1. Vd = dose administrated i.v / Total lipid solubility
2. Vd = maximum tolerated dose / Dose administrated i.v.
3. Vd = dose administrated i.v / plasma concentration
4. Vd = t1/2 / Dose administrated i.v.

Correct answer: 3. Vd = dose administrated i.v / plasma concentration